Perifasicular atrophy of muscle fibres is seen in?
1. Dermatomyositis
2. Steroid myopathy
3. Inclusion body myositis
4. Viral myositis

Correct answer: 1. Dermatomyositis

Explanation: A distinctive feature of dermatomyositis is atrophy and degeneration of myofibres at the periphery of fasicles (perifasicular) which occurs even in the absence of inflammation.